Which of the following is not an indication for thrombolysis in stroke patient?
1. Ischemic stroke of less than 3 hours
2. CT scan showing no hemorrhage or edema > 1/ 3rd of the MCA territory
3. Sustained blood pressure> 185/110 mm Hg despite treatment
4. Clinical diagnosis of stroke

Correct answer: 3. Sustained blood pressure> 185/110 mm Hg despite treatment

Explanation: Sustained blood pressure> 185/110 mm Hg despite treatment is not an indication of thrombolysis in stroke patient. INDICATION Clinical diagnosis of stroke Onset of symptoms to time of drug administration <=4.5 hours CT scan showing no hemorrhage or edema of >1/3 of the MCA territory Age 18 >= years CONTRAINDICATIONS Sustained BP >185/110 mmHg despite treatment Bleeding diathesis Recent head injury or intracerebral hemorrhage Major surgery in preceding 14 days Gastrointestinal bleeding in preceding 21 days Recent myocardial infarction